Pin index of oxygen is which one of the following :
1. 2, 5
2. 3, 5
3. 1, 5
4. 3, 6

Correct answer: 1. 2, 5